Colonoscopy is needed as screening in which of the following syndrome
1. FAP
2. Lynch
3. Turcot
4. All of the above

Correct answer: 4. All of the above